Cullen sign is:
1. Around umbilicus
2. In the flanks
3. In the epigastrium
4. In the back

Correct answer: 1. Around umbilicus

Explanation: Ans: a (Around the umbilicus) Ref:Bailey, 24th ed, p. 1124(Discussed earlier) Cullen sign is seen in acute pancreatitis around the umbilicus.Grey turners sign is seen in the flanks.